Which of the following is not true about “dialysis dementia syndrome”?
1. Presenting symptoms are dysarthria, apraxia and slurred speech
2. Aluminum chelation with deferoxamine helps in improvement of symptoms
3. Seizures and frank psychosis are early symptoms of the disease
4. Its incidence has decreased with the use of aluminum free water for dialysis

Correct answer: 3. Seizures and frank psychosis are early symptoms of the disease

Explanation: This dialysis encephalopathy has been seen related to use of aluminum in dialysis. Its incidence decreased after the use of aluminum free water for dialysis. Its presenting symptoms are dysarthria, apraxia and slurred speech and myoclonus, seizures and frank psychosis are seen after months of the disease progression. Aluminum chelation with deferoxamine helps in dramatic improvement of symptoms.
(Ref : Pg 186 Clinical Practice guidelines JK Trivedi)